Mercaptopurine is
1. Purine analogue
2. Nucleoside analogue
3. Pyrimidine analogue
4. Anti tumor antibiotics

Correct answer: 1. Purine analogue

Explanation: Ref: Katzung, 14th ed. pg. 960; KDT, 6th ed. pg. 820* Mercaptopurine is synthetic purine used in cancer chemotherapy.* Use: Childhood acute leukemia.